Koeppe's nodules are seen in -
1. Granulomatous uveitis
2. Non granulomatous uveitis
3. Choroiditis
4. Pars planitis

Correct answer: 1. Granulomatous uveitis

Explanation: The pathological reaction in granulomatous uveitis is characterised by infiltration with lymphocytes, plasma cells, with mobilization and proliferation of large mononuclear cells which eventually become epithelioid and giant cells and aggregate into nodules. Iris nodules are usually formed near pupillary border (Koeppe's nodules). and sometimes near collarette (Busacca nodules)